A patient presents to the doctor with diplopia when looking towards the right. On examination, he is unable to move his right eye laterally past the midline. Damage to which of these nerves would produce this clinical presentation?
1. Abducent nerve
2. Trochlear nerve
3. Optic nerve
4. Oculomotor nerve

Correct answer: 1. Abducent nerve

Explanation: Clinical Presentation is of impaired abduction of one eye (right eye) d/t damage of VI nerve. Lateral rectus is paralysed